What type of protein is Casein?
1. Lipoprotein
2. Phosphoprotein
3. Glycoprotein
4. Flavoprotein

Correct answer: 2. Phosphoprotein

Explanation: Ans. B. PhosphoproteinTwo important Phosphoproteins areCasein found in milkOvovitellin found in egg yolk